. A village has a total of 100 under-five children. The coverage with measles vaccine in this age group is 60%. Following the occurrence of a measles case in a child after a visit outside, twenty six children developed Of measles is - measles. The secondary attack rate
1. 0.25
2. 0.4
3. 0.5
4. 0.65

Correct answer: 4. 0.65